All are the risk factors for endometrial carcinoma except
1. Multiparity
2. Obesity
3. Early menarche
4. Unopposed estrogen therapy

Correct answer: 1. Multiparity

Explanation: Pathology behind endometrial cancer is unopposed estrogen exposure to endometrium
Multiparity is a protective factor
Risk factors for endometrial cancer

Early menarche and Late menopause
Obesity
PCOS
Nulliparity
Infertility
Medical comorbidities like Diabeties, Hypertension
Tamoxifen usage